Which of the following is not true regarding virtopsy:-
1. Functional abnormalities can be easily assessed
2. Combination of CT & MRI
3. 3D images can be created
4. Cannot replace original autopsy

Correct answer: 1. Functional abnormalities can be easily assessed

Explanation: Virtopsy (combination of 'virtual' and 'autopsy' ) Virtual autopsy is a bloodless and minimally invasive procedure to examine a body for cause of death. Utilizes CT and MRI, 3-D optical measuring techniques and photogrammetry Functional abnormalities cannot be assessed To get a reliable, accurate geometric presentation of all findings (body surface as well as the interior)